Acute intermittent porphyria is caused by deficiency of enzyme?
1. Uroporphyrinogen I synthase
2. Ferrochelatase
3. Uroporphyrinogen III synthase
4. Proto-oxidase

Correct answer: 1. Uroporphyrinogen I synthase

Explanation: Ans. A. Uroporphyrinogen I synthase. (Ref. Harper's Biochemistry 26th ed. 270-278).Porphobilinogen deaminase (also known as hydroxymethylbilane synthase or uroporphyrinogen I synthase) causes AIP...So, HMB1 synthase = UP I synthase!!!Type/porphyriaDeficient enzymeInheritancePhotosensitivityNeurovisceral SymptomsHEPATIC PORPHYRIAS ALA-dehydratase deficiency (ADP)ALA-dehydrataseAR-+Acute intermittent porphyria (AIP)HMB-synthaseAD-+Porphyria cutanea tarda (PCT)URO-decarboxylaseAD+++-Hereditary coproporphyria (HCP)COPRO-oxidaseAD++Variegate porphyria (VP)PROTO-oxidaseAD++ERYTHROPOIETIC PORPHYRIAS X-linked sideroblastic anemia (XLSA)ALA-synthaseXLR--Congenital erythropoietic porphyria (CEP)URO-synthaseAR+++-Erythropoietic protoporphyria (EPP)FerrochelataseAD+-